Treatment of lithium induced tremor is ?
1. Propranolol
2. Amiloride
3. Modafinil
4. Trihexphenydyl

Correct answer: 1. Propranolol

Explanation: Ans. is 'a' i.e., Propranolol Toxic symptoms of lithium toxicity are frequent at serum level of lithium exceeds 1.5 meq/L and regularly seen at plasma concentration above 2 meq/L. The most common symptoms of acute lithium intoxication are neurological, i.e., tremer (being the most common). increased tendon reflexes, seizures, drowsiness, delirium, muscle twitching / weakness and coma. Gastrointestinal toxicity may also occur, e.g. Nausea, vomiting, diarrhea, abdominal pain, and metallic taste. Chronic intoxication can cause hypothyroidism and nephrotoxicity (diabetes insipidus, polyuria, polydipsia, nephrotic syndrome). Amiloride is the DOC for lithium induced diabetes insipidus. Propranolol is used to treat lithium induced tremor in adults.